The most effective antiemetic for controlling cisplatin-induced vomiting is :
1. Prochlorperazine
2. Ondansetron
3. Metoclopramide
4. Aprepitant

Correct answer: 2. Ondansetron

Explanation: 5HT3 antagonists like ondansetron, granisetron and tropisetron are the agents of choice for chemotherapy-induced vomiting.